Marker of small cell cancer of lung is
1. Chromogranin
2. Cytokeratin
3. Dermin
4. Vimentin

Correct answer: 1. Chromogranin

Explanation: Small cell cancer of lung 

Tumor cells are small round or spindle shaped with prominent nuclear molding.
They will have scant cytoplasm, ill-defined cell borders, finely granular nuclear chromatin (salt and pepper pattern) and abesnt or inconspicuous nucleoli.
Azzopardi effect is characteristic of small cell cancer of lung .
Ultra structurally the cancer cells exhibit dense core neurosecretory granules consisting of neuroendocrine markers like chromogranin, Synaptophysin, CD57 and bomberin.
Immunohistochemistry demonstrates high levels of the antiapoptotic protein BC22 in 90% of tumors.
Most common lung cancer with ectopic hormone production.